Substrate-controlled hormone is
1. Glucagon
2. FSH
3. LH
4. TRH

Correct answer: 1. Glucagon

Explanation: Substrate-controlled hormones are defined as the hormones which regulate the blood substrate level.Glucagon is a hormone produced by the pancreas that stimulates an increase in blood sugar levels, thus opposing the action of insulin.FSH - follicle-stimulating hormone: an anterior pituitary peptide that stimulates the development of Graafian follicles in the female and spermatozoa in the male.LH - luteinizing hormone: a pituitary hormone that acts in the ovary to stimulate ripening of the follicle and formation of the corpus luteum.TRH - thyrotropin-releasing hormone: a hormone of the hypothalamus that controls the release of thyrotropin by the pituitary gland.Ref: Ganong's review of medical physiology; 24th edition; page no 443